All tests are used for infanticide except ?
1. Ploucquet test
2. Fodere's test
3. Gettler's test
4. Raygat's test

Correct answer: 3. Gettler's test

Explanation: Ans. is 'c' i.e., Gettler's test Tests used in infanticide (for respiration) Ploucquet's test : Weight of lung is measured in relation to body wieght. Before birth weight of lung is 1/70 of body weight and after respiration it becomes 1/35 of body weight due to increased blood flow in lung beds. Static test or Fodere's test : The average weight ofboth lungs before respiration is 30-40 gm and after respiration is 60-70 cm. Hydrostatic test (Raygat's test, I" life test) : The specific gravity of a non-respired lung is 1040-1050 and of a respired lung is 940-950, so, after respiration lung floats on water (specific gravity of water is 1000). False positive hydrostatic test may occur (i.e.non-respired lung may float) in decomposition and in attempted artificial respiration. False negative hydrostatic test (i.e. respired lung may sink down) may occur in atelectasis, pulmonary oedema, bronchopneumonia, and congenital syphylis. Breslau's second life test : It assumes that a live born child would respire and therefore, would also swallow some air into the stomach and bowel. Hence they float on water. This test is falsely positive in putrefaction (due to putrefied gases) or in cases of attempted artificial respiration. Werdin's test : Before birth middle ear contains gelatinous embryonic tissue which is replaced by air after respiration